Tober Ayer test is positive in
1. Lateral sinus thrombosis
2. Petrositis
3. Cerebral abscess
4. Subarachnoid haemorrhage

Correct answer: 1. Lateral sinus thrombosis

Explanation: Tobey Ayer test is positive in Lateral sinus thrombophlebitis.Compression of Inferior Jugular Vein in the neck on the normal side causes a rise in CSF pressure but not on the affected side.Ref: Hazarika; 3rd ed; Pg 171